Inappropriate ADH secretion is characterised by the following except -
1. Hypo-osmolar urine
2. Water intoxication
3. Expanded fluid volume
4. Hypomagnesemia

Correct answer: 1. Hypo-osmolar urine

Explanation: SIADH there is decrease in serum osmolality with inappropriate increase in urine osmolalitye.